Which of the following drug is not associated with drug induced pemphigus?
1. Rifampicin
2. Penicillin
3. Captopril
4. Furosemide

Correct answer: 4. Furosemide

Explanation: Penicillin, cephalosporins, penicillamine, rifampicin, captopril, piroxicam, phenylbutazone are drugs commonly associated with drug induced pemphigus.